Jet black pigmentation of tongue with tactile and visual hallucination is feature of which poisoning-
1. Cocaine
2. Arsenic
3. Cannabis
4. Heroin

Correct answer: 1. Cocaine

Explanation: Black pigmentation of tongue and tactile hallucination occur in cocaine abuse.